Rinne test is negative in:
1. Sensorineural deafness
2. Acoustic neuroma
3. Tympanosclerosis
4. Meniere's disease

Correct answer: 3. Tympanosclerosis

Explanation: (c) Tympanosclerosis(Ref Cummings, 6th ed., 2203)Tympanosclerosis being a conductive pathology so BC > AC so Rinne will be negative.All the other options being SN deafness so AC > BC so Rinne will be positive.